Delta-sign is seen in ?
1. Petrositis
2. Acute mastoiditis
3. Sigmoid sinus thrombosis
4. Glomus tumor

Correct answer: 3. Sigmoid sinus thrombosis

Explanation: Ans. is 'c' i.e., Sigmoid sinus thrombosis Contrast-enhanced CT scan can show sinus thrombosis by typical delta-sign. It is a triangular area with rim enhancement, and central low density area is seen in posterior cranial fossa on axial cuts. Delta-sign may also be seen on contrast enhanced M RI.